Buspirone is used as a/an
1. Anxiolytic
2. Sedative
3. Muscle relaxant
4. Anticonvulsant

Correct answer: 1. Anxiolytic

Explanation: Busiprinone, is a medication primarily used to treat anxiety disorders, particularly generalized anxiety disorder. Benefits support its short term use. It is not useful for psychosis. It is taken by mouth, and it may take up to four weeks for an effect Ref KD Tripati 8th ed.